Which of the following type of carcinoma stomach is associated with best prognosis?
1. Superficial spreading type
2. Ulcerative type
3. Linitis plastica type
4. Polyploid type

Correct answer: 1. Superficial spreading type

Explanation: Superficial spreading carcinoma is also known as early gastric cancer, superficial carcinoma is confined to mucosa and submucosa. These cancers have excellent prognosis ( approximately 90% 5 yea survival) after resection. Ref: CSDT 13/e, Page 501.